A 40 year old man presents to the general medicine clinic complaining of progressive hearing loss in his right ear. He says that over the past year, he has had difficulty hearing conversations in noisy places such as restaurants. In the past few months, he has experienced occasional ringing in his right ear. His hearing in his left ear has not been affected. He denies headache, vertigo, otalgia, facial pain, or weakness. He has no medical problems and does not take any medications. Otoscopic examination reveals pearly gray tympanic membranes bilaterally without any bulge or retraction. A Weber's test is performed, and the patient reports hearing the vibration loudest in his left ear. Which of the following findings would MOST likely be observed in this patient?
1. Air conduction equals bone conduction in his left ear
2. Air conduction equals bone conduction in his right ear
3. Air conduction is greater than bone conduction in his right ear
4. Bone conduction is greater than air conduction in his left ear

Correct answer: 3. Air conduction is greater than bone conduction in his right ear

Explanation: This patient has sensorineural deafness in his right ear due to his acoustic neuroma. In the normal ear, air conduction is greater than bone conduction. An ear with sensorineural deafness will still have air conduction greater than bone conduction, however both will be qualitatively decreased.